Which of the following is true about anterior shoulder dislocation ?
1. It is most common type of shoulder dislocation
2. Is is most commonly subclavicular
3. Patient keeps his arm in saluting position
4. Injury to Brachial plexus is common

Correct answer: 1. It is most common type of shoulder dislocation

Explanation: Anterior dislocation is the most common type of shoulder dislocation Subcoracoid is the most common type of anterior dislocation Arm is by the side of the body in position of abduction and external rotation Brachial plexus injury is not a complication Refer: Maheshwari 9th/e p 89